A 55-year-old man, who has been on bed rest for the past 10 days, complains of breathlessness and chest pain. The chest X-ray is normal. The next step in investigation should he:
1. I.ung ventilation - perfusion scan
2. Pulmonary arteriography
3. Pulmonary venous wedge angiography
4. Echocardiography

Correct answer: 1. I.ung ventilation - perfusion scan

Explanation: Ans. I.ung ventilation - perfusion scan